Which of the following play most important role in memory:
1. Synaptic network
2. Electric conduction network
3. Conductivity circuit
4. Conductivity network

Correct answer: 1. Synaptic network

Explanation: Ans: a. Synaptic Net.Synaptic network s single best answer "Long-term memory involves changes in the structure of neurons including growth of new processes and synapses.So, to the extent that you remember anything about this material on memory tomorrow, or next week, or next year, it will be because structural changes in synapses are beginning in your brains.